Right homonymous hemianopia is caused by lesion of:
1. Left optic radiation
2. Right geniculate body
3. Right optic nerve
4. Right optic radiation

Correct answer: 1. Left optic radiation

Explanation: Ans. A i.e. Left optic radiation Visual field defects Homonymous hemianopia: Lesions of optic tract (incongruous defects) Homonymous quadrantaopia: Lesion of temporal lobe (superior) Bitemporal hemianopia: Lesions of optic chiasm